Masticatory forces generated by a complete denture prosthesis is about
1. 44 — 50 pounds
2. 13 — 16 pounds
3. 13 — 15 kgs
4. 70 — 80 pounds

Correct answer: 2. 13 — 16 pounds